ACE inhibitors should not be used with ?
1. Amilorides
2. Calcium channel blockers
3. Chlohialidone
4. All

Correct answer: 1. Amilorides

Explanation: Ans. is 'a' i.e., Amilorides